Which nerve mostly damaged in post dislocation of hip ?
1. Sciatic nerve
2. Femoral nerve
3. Obturator nerve
4. Superior gluteal nerve

Correct answer: 1. Sciatic nerve

Explanation: Ans. is 'a' i.e., Sciatic nerve